Thrombomodulin I is produced by all of the following EXCEPT
1. Splanchnic circulation
2. Skin circulation
3. Cerebral circulation
4. Muscle circulation

Correct answer: 3. Cerebral circulation

Explanation: C i.e. Cerebral circulation